When evaluating for possible otitis media, which of the following is of the least diagnostic value?
1. History of a new onset of ear pulling starting several days after URI
2. Presence of the light reflex
3. Translucency of the tympanic membrane (TM)
4. Mobility in response to pneumatoscopy

Correct answer: 2. Presence of the light reflex

Explanation: The light reflex can often be visualized in an abnormal ear. Gauging, decreased translucency of the TM and evaluating for the presence of a fluid level behind the TM requires experience, but these are good indicators of infection when detected. Mobility in response to pneumatoscopy is also quite sensitive in practiced hands. New-onset ear pulling after URI is frequently associated with otitis media. Ref: Diseases of ENT by Dhingra 6th edition Pgno : 65